Long acting beta agonist used once a day:
1. Salmeterol
2. Formoterol
3. Indacaterol
4. Terbutaline

Correct answer: 3. Indacaterol

Explanation: Ans. C. IndacaterolRef: Katzung's Basic and Clinical Pharmacology 13th/ed, p340ExplanationAns. c. Indacaterol Ref: Katzung's Basic and Clinical Pharmacology 13th/ed, p340Explanationb agonistFeatures* Albuterol (salbutamol)* Terbutaline* Metaproterenol* Pirbuterol* Metered-dose inhalers* Bronchodilation is maximal within 15-30 minutes and persists for 3-4 hours.Frequent administrations required based on clinical status.* Can be given by nebulizer if using metered dose is not possible.* Albuterol and terbutaline are also available in tablet form (2 to 3 times daily) (option d), no added advantage therefore prescribed rarely. * Only terbutaline is available for subcutaneous injection; useful in severe asthma requiring emergency treatment when aerosolized therapy is not available or has been ineffective; CAUTION: Due to its longer duration of action cumulative effects may be seen after repeated injections.Bambuterol* It is prodrug of terbutaline.* Slowly hydorlyzed by pseudocholinesterase to release the active drug over a period of 24 hours.* Available in tablet form and given once daily.Long acting: Salme-Terol* Formoterol* Arformoterol* Carmoterol* Salmeterol a partial agonist and formoterol a full agonist.* Duration of action: 12 hours or more; used 2 times daily (options a,b,e).* In asthma should not be used as monotherapy; interact with inhaled corticosteroids to improve asthma control.Indacaterol* Ultra long acting p2 agonist; used once daily (Answer)* Approved for once daily long-term treatment of COPD and not for asthma and not for acute exacerbations of COPD.